Which of the following is not useful in the management of status epilepticus?
1. Lorazepam
2. Phenytoin
3. Phenobarbitone
4. Carbamazepine

Correct answer: 4. Carbamazepine

Explanation: d. Carbamazepine(Ref: Nelson's 20/e p 2831-2856)Treatment of Status Epilepticus in ChildrenTimeDrug treatment0 minuteIV Access available: Inj Lorazepam-0.1mg/kg/IV (max 4mg) OR InjMidazolam 0.15-0.2mg/kg/IV (Max 5mg)IV access not available: Buccal Midazolam 0.3mg/kg (Max 5mg) OR PR Diazepam 0.5mg/kg (Max 10mg)5 minutesInj Lorazepam-0.1mg/kg/IV (max 4mg) OR Inj Midzolam-0.5-0.2mg/kg/IV (Max 5mg)10 minutesIV Phenytoin* 20mg/kg (Max: 100mg) in NS 1mg/kg/min (Max 50mg per min), OR Inj Fosphenytoin 20mgPE/kg, Rate: 3mgPE/kg, if no response to initial doseRefractory SE-even after 10min of phenytoin/fosphenytoin administrationIV Valproate 20-30mg/kg-IV max 6mg/kg/minute ORIV Phenobarbitone 20mg/kg in NS 1.5mg/kg/min; Repeat 10mg/kg if no response to initial dose ORIV Levetiracetam (If Liver disease/Metabolic disease/coagulopathy/on Chemotherapy)-20-30mg/kg5min infusier